MC Site of Ca Cervix:
1. Endocervix
2. Ectocervix
3. Squamocolumnar junction
4. None of the above

Correct answer: 3. Squamocolumnar junction